Which of the following excludes painful stimuli from awareness -
1. Repression
2. Reaction formation
3. Projection
4. Rationalization

Correct answer: 1. Repression

Explanation: Traumatic events (or painful stimuli) are repressed (forced down) in to unconsciousness, i.e. repression acts unconsciously to exclude anxiety provoking ideas or feeling from conscious awareness.